What is the function of DNA ligase ?
1. Unwinding (denaturation) of dsDNA to provide an ssDNA template
2. Seals the single strand nick between the nascent chain and Okazaki fragments on lagging strand
3. Initiation of DNA synthesis and elongation
4. Initiates synthesis of RNA primers

Correct answer: 2. Seals the single strand nick between the nascent chain and Okazaki fragments on lagging strand

Explanation: Ans. is 'b* i.e., Seals the single strand nick between the .......... ProteinFunctionDNA polymerasesDeoxynucieotide polymerizationHelicasesProcessive unwinding of DNATopoisomerasesRelieve torsional strain that results from helicase-induced unwindingDNA primaseInitiates synthesis of RNA primersSingle-strand binding proteinsPrevent premature reannealling of dsDNADNA ligaseSeals the single strand nick between the nascent chain and Okazaki fragments on lagging strand